Organelle having DNA is?
1. Mitochondria
2. Golgi complex
3. SER
4. RER

Correct answer: 1. Mitochondria

Explanation: Ans. A MitochondriaRef: Ganong 25th edition, page 36Mitochondria have their own genome and contain DNA. Human mitochondrial DNA has a circular double stranded molecule containing 16,500 base pairs compared to a billion in nuclear DNA. Mitochondria are derived from ovum, their inheritance is maternal. Since the repair mechanism of DNA is poor, mutation rate for mitochondrial DNA is 10 times more than nuclear DNA.